In facial nerve palsy of right side Stapedial reflex is absent on:
1. Right side
2. Left side
3. Both sides
4. Not absent

Correct answer: 1. Right side

Explanation: (a) Right side(Ref. Cummings, 6th ed., 2055)Since facial nerve forms the efferent of stapedial reflex, in facial nerve palsy of right side Stapedial reflex is absent on the right side only.